A person died of HIV infection. Lung Autopsy performed in this person showed intranuclear basophilic inclusions. His CD4 count was less than 100/uL. Which is the most probable diagnosis?
1. CMV
2. Herpes infection
3. ARDS
4. Pneumocystis carinii

Correct answer: 1. CMV

Explanation: Ans. (a) CMV(Ref: Robbins 9th/pg 246; 8th/pg 239)In HIV infection with:CD4+ T cell counts <200/uL- high risk of disease from P. jiroveciCD4+ T cell counts <50/uL- high risk of disease from CMV, M. avium complex (MAC), and/or T. gondii Intramuclear parophillic incluria is seen with CMV